Characteristic symptom in induced psychotic disorder is:
1. Insomnia
2. Profound mood disturbances
3. Accepting delusions of other person
4. Suicidal ideation

Correct answer: 3. Accepting delusions of other person

Explanation: In induced psychotic disorder or shared psychotic disorder, one person who has the delusion (primary case) induces the delusion in another person (secondary case). SHARED (OR INDUCED) PSYCHOTIC DISORDER: Also known asfolie a deux or communicated insanity. occurs among familiar persons Dominant individual with fixed delusions appears to induce similar beliefs in a dependent individual. Eg: Father believes that his neighbours are trying to harm his family. This belief is induced into his son and his son also starts to believe the same.